A 24- year old man falls on the ground when he is struck in the right temple by a baseball. While being driven to the hospital, he lapses into coma. On examination he is unresponsive with the dilated right pupil. Which of the following is the most important step in initial management?
1. Craniotomy
2. CT scan of the head
3. X-ray of the skull and cervical spine
4. Doppler ultrasound examination of the neck

Correct answer: 1. Craniotomy

Explanation: Patient showing features such as coma with a dilated pupil after a lucid interval following a head injury is suffering from extradural hematoma. It is a neurosurgical emergency, as it will result in the death of the individual if the hematoma is not removed. Treatment of choice is urgent craniotomy. Ref: Bailey and Love's Short Practice of Surgery, 24th Edition, Pages 597-8